Which of the following is supplied by the abdominal aorta?
1. Accessory lung lobes
2. Bronchopulmonary segment
3. Sequestrated lung tissue
4. Base of lung

Correct answer: 3. Sequestrated lung tissue

Explanation: A pulmonary sequestration (bronchopulmonary sequestration or cystic lung lesion), is a condition wherein a piece of tissue that ultimately develops into lung tissue is not attached to the pulmonary arterial blood supply, as is the case in normally developing lung. As a result, this sequestered tissue is not connected to the normal bronchial airway architecture, and as a result, fails to function in, and contribute to, respiration of the organism. Sequestrated lung tissue receive it's blood supply from systemic circulation, directly from aorta or its branches Ref - pubmed.com